Rathi, 26 years old female diagnosed to be suffering from depression. Now for the past 2 days had suicidal tendency, thought & ideas. The best treatment is -
1. Amitryptiline
2. Selegiline
3. Haloperidol + CPZ
4. ECT

Correct answer: 4. ECT

Explanation: Treatment of choice for suicidal depression is ECT.